Tau proteins are most commonly associated with -
1. Alzheimer's disease
2. Alcoholism
3. Tuberculosis
4. Meningitis

Correct answer: 1. Alzheimer's disease

Explanation: Ans. is 'a' i.e., Alzheimer's disease o In Alzheimer's disease excessive or abnormal phosphorylation of tau results in the transformation of normal adult tau into PHF-tau (paired helical filament) and NFTs (neurofibrillary tangles)Important pathological findings in Alzheimer's disease.1) Cortical atrophy with sidening of the cerebral sulci.2) Compensatory ventricular enlargement - Hydrocephalus exvacuo.3) Neuritic (senile) plaques - Made up of A b40 & A b42.4) Diffuse plaques - Contain Ab42.5) Neurofibrillary tangles - Contain tau protein6) Cerebral amyloid angiopathy7) Granulovascular degeneration8) Hirano bodies